Five-day self subsiding pain is diagnostic of ?
1. Anal fissure
2. Fi stul -in -ano
3. Thrombosed external hemorrhoids
4. Thrombosed internal hemorrhoids

Correct answer: 3. Thrombosed external hemorrhoids

Explanation: Ans. is 'c' i.e., Thrombosed external hemorrhoids